Which joint is involved in side to side movement (to look right and left)
1. Atlanto-occipital joint
2. Atlanto-axial joint
3. C2-C3 articulation
4. C6-C7 articulation

Correct answer: 2. Atlanto-axial joint

Explanation: Side to side movement is due to the C1 - C2 joint called atlanto-axial joint. Atlas is C1 bone, Axis is C2 bone,the Dens of C2 is going to fit into the atlas bone forming ATLANTO-AXIAL JOINT Atlanto-occipital joint (Ellipsoidal synovial joint)causes yes movement / nodding movement. Movement at Atlanto-occipital joint: